The Hb level is healthy women has mean 13.5 g/dl and standard deviation 1.5 g/dl, what is the Z score for a woman iwht Hb level 15.0 g/dl-
1. 9
2. 10
3. 2
4. 1

Correct answer: 4. 1

Explanation: Ref:Parks 23rd edition pg 849 Z score = (individual value - mean) / SD =(15-13.5)/1.5= 1